Axillary sheath is derived from
1. Prevertebral fascia
2. Pretracheal fascia
3. Investing layer of deep cervical fascia
4. Deep fascia of throacic wall

Correct answer: 1. Prevertebral fascia

Explanation: -The muscular floor of the posterior triangle is covered by prevertebral layer of fascia colli. -It forms the axillary sheath around subclavian artery and brachial plexus travelling from the root of neck to the upper limb. -reference: Textbook of anatomy, Head Neck, and brain, Vishram Singh, 2nd edition, page no.80